Temporary method of contraception among the following is :
1. Vasectomy
2. OCP
3. Tubectomy
4. Postpartum sterilisation

Correct answer: 2. OCP

Explanation: Temporary contraceptive methods are Hormonal contraception Intrauterine devices Barrier contraception Natural family planning methods Ref: TEXTBOOK OF GYNAECOLOGY; SHEILA BALAKRISHNAN; SECOND EDITION; PAGE NO 364